True about herpes virus is?
1. Circular double stranded DNA virus
2. Linear double stranded DNA virus
3. Circular double stranded RNA virus
4. Circular single stranded RNA virus

Correct answer: 2. Linear double stranded DNA virus

Explanation: The herpesvirus capsid is icosahedral, composed of 162 capsomeres and enclosing the core containing the linear double-stranded DNA genome. REF:ANATHANARAYAN AND PANIKER'S TEXTBOOK OF MICROBIOLOGY 8TH EDITION PAGE NO:466